A child had pustular lesion on leg. On grainstaining gram positive cocci are seen. To establish the diagnosis of Group A streptococcal erythroderma, the test used is
1. >Bile solubility test
2. >Catalase test
3. >Optochin sensitivity
4. >Bacitracin sensitivity

Correct answer: 4. >Bacitracin sensitivity

Explanation: Bacitracin sensitivity (Ref: Harrison 16thle p 741, Anantnatyan] Streptococcal erythroderma is caused by streptococcus pyogenus Streptococcus pyogenus is b hemolytic streptococci and is Bacitracin positive.